Metaplasia is induced from
1. Totipotent cells
2. Stem cells
3. Neoplastic cells
4. Necrotic cells

Correct answer: 2. Stem cells

Explanation: Metaplasia is a reversible change in which one adult cell type (epithelial or mesenchymal) is replaced by another adult cell typeMetaplasia is thought to arise by reprogramming of stem cells to differentiate along a new pathway rather than a phenotypic change (transdifferentiation) of already differentiated cells( Robbins Basic Pathology, 9th edition, page 3 )